Unilateral middle ear serous effusion in an adult, most common cause is
1. TB
2. Foreign body
3. Nasopharyngeal carcinoma
4. CSOM

Correct answer: 3. Nasopharyngeal carcinoma

Explanation: "In adults presenting with a unilateral middle ear effusion, the possibility of a nasopharyngeal carcinoma should be considered""A high incidence of NPC (Nasopharyngeal carcinoma) in South East Asia and southern China correlates with the high incidence of OME (Otitis Media with Effusion) in adults in these regions"Ref: PL Dhingra, Diseases of Ear, Nose & Throat, 7th edition, pg no. 279 - 286